A 30 year old woman with coarctation of aorta is admitted to the labour room for elective caesarean section. Which of the following is the anaesthesia technique of choice:
1. Spinal anaesthesia
2. Epidural anaesthesia
3. General anaesthesia
4. Local anaesthesia with nerve block

Correct answer: 3. General anaesthesia

Explanation: C i.e. General anesthesia In coarctation of aorta any decrease in cardiac output or cardiac return is deleterious to the fetus because the placental circulation is already comprised on account of coarctation. So any anesthetic procedure/drug which causes hypotension should be avoided. Regional anaesthic procedure such as spinal anesthesia and epidural anesthesia should be avoidedQ in these patients because hypotension is the most common side effect of these procedure. General anesthesia is technique of choiceQ for performing cesarian section in a patient with coarctation of aorta, as it has advantage of - rapid induction, better airway & ventilation and less hypotension.